Blind nasal intubation is not indicated in?
1. TM joint ankyloses
2. Impossible laryngoscopy
3. CSF otorrhea
4. Base of skull fracture

Correct answer: 4. Base of skull fracture

Explanation: ANSWER: (D) Base of skull fractureREF: Miller 6lh ed p. 1628-1645 Contraindications for nasal intubation:Base of skull fractureCSF rhinorrhoeaAdenoidsNasal polypsBleeding disorderPrevious nasal surgeryIndications for blind nasal intubationImpossible laryngoscopyTM joint problemsTrismus due to any causeNeck contracture